Poisoning with all the following causes constriction of the pupils except -
1. Dhatura
2. Morphine
3. Organophosphorus compounds
4. Pontine hemorrhage

Correct answer: 1. Dhatura

Explanation: Morphine, organophosphates and pontine hemorrhage cause miosis (constriction of pupil).
Dhatura causes mydriasis (dilatation of pupil).